Pearl Index is a measure of :
1. Potency of contraceptives
2. Fertility rate
3. Potency of disinfectant
4. Couple protection rate

Correct answer: 1. Potency of contraceptives

Explanation: Potency of contraceptives